Man hit by a car is thrown up and hits road divider falls on the ground sustains head injury then run over by another car. Cause of head injury is
1. Primary impact injury
2. Secondary impact injury
3. Primary injury
4. Secondary injury

Correct answer: 4. Secondary injury

Explanation: Transportation injuriesPrimary impact injuriesInjuries are caused when the vehicle hits the victim (PEDESTRIAN).Injuries are in the form of imprint abrasions or patterned bruises, Bumper fractureThe detection of primary impact injury will help to find out the relative position of the vehicle and the pedestrian.Primary impact injury can serve as an important evidence for the mechanism of traumaSecondary impact injuries Injuries caused due to subsequent 2nd impact of same vehicle.Injuries may be any of the hard blunt force injuries: abrasions, grazedabrasion, stretch lacerationsAfter the secondary impact, the victim is thrown onto the groundSecondary injuries Injuries caused by falling on the ground or on other stationary objects.Found on parts opposite to primary impact or head(Refer: Rajesh Bardale - Principle of Forensic Medicine & Toxicology, 1stedition, pg no: 240,241)